Thrush refers to
1. Acute atrophic candidiasis
2. Acute pseudomembranous candidiasis
3. Chronic atrophic candidiasis
4. Chronic hyperplastic candidiasis

Correct answer: 2. Acute pseudomembranous candidiasis